Material used as sealants:
1. Cyanoacrylate
2. Polyurethane
3. Dimethacrylate
4. All of the above

Correct answer: 4. All of the above

Explanation: Materials used as sealants:

Cyanoacrylates
Polyurethanes
Dimethacrylates
Glass ionomer